S3 is due to
1. Rapid gushing of blood into ventricle
2. Atrial contraction
3. AV valve closure
4. Semilunar valve closure

Correct answer: 1. Rapid gushing of blood into ventricle

Explanation: S3 is due to the rapid gush of blood in the ventricle Ref: Ganong 25th ed/page 540